Avascular necrosis may be seen in all of the following, except
1. Scapula
2. Head of femur
3. Upper end of humerus
4. Body of Talus

Correct answer: 1. Scapula

Explanation: Common Site of Avascular necrosisCauseHead and femurFracture neck femur (Subcapital)Posterior dislocation of hipProximal pole of scaphoidFracture through waist of scaphoidBody of talusFracture neck of talusProximal pole of lunateLunate dislocation*Other sites of common AVN are Distal medial condyle, Humeral head, Capitellum, and Metatarsal heads*In the early stages, bone scintigraphy and MRI are the diagnostic modalities of choice.*Non orthopedic causes of AVN - Sclera, Caisson's disease, Lupus erythematosus, Radiation and Alcohol (Refer: Apley's system of Orthopedics and Fracture, 8th edition, pg no: 91-103, 436-439)